Tattooing in old decomposed body can be visualized by use of all except:
1. 3% H2O2
2. Gamma rays
3. Infrared photography
4. Examination with magnifying lens

Correct answer: 2. Gamma rays

Explanation: Tattoo Marks Faint or disappeared tattoo marks can be made out on histological study of the regional lymph nodes In decomposed bodies, they are made visible by treating the area with 3 % hydrogen peroxide Methods to demonstrate old or faint tattoos visible: Infra red photography UV lamp Magnifying glass High contrast photography